Pulmonary edema associated with normal PCWP is observed. Which of these is not a cause:
1. High altitude
2. Cocaine overdose
3. Post cardiopulmonary bypass
4. Bilateral renal artery stenosis

Correct answer: 4. Bilateral renal artery stenosis

Explanation: Answer is D (Bilateral Renal Artery Stenosis) Bilateral Renal Artery Stenosis is not a cause for pulmonary edema with normal PCWP High Altitude, narcotic overdose (Cocaine overdose),and cardiopulmonary bypass are all know causes for pulmonary edema with normal PCWP.